Vitamin K is involved in the post translational modification of
1. Glutamate
2. Aspartate
3. Glycine
4. GABA

Correct answer: 1. Glutamate

Explanation: Refer Katzung 11/e p 595 Vitamin K causes gamma carboxylation of glutamate reduces in many clotting factors that result in their activation